Laloo, a 40-year-old male has recently started writing books. But the matter in his book could not be understood by anybody since it contained words which were never there in any dictionary and the theme was very disjoint. Nowadays he has become very shy and self absorbed. When he addresses people he speaks about meta philosophical ideas. What is the likely diagnosis?
1. Mania
2. Schizophrenia
3. Depression
4. Delusional disorder

Correct answer: 2. Schizophrenia

Explanation: The history is suggestive of schizophrenia as following signs are described in patient. Neologisms - creates new own words. Formal thought disorders - theme is very disjoint Presence of negative symptoms -shy and self absorbed